Father of ophthalmology?
1. William Osler
2. Sushruta
3. Albrecht Von Graefe
4. David James

Correct answer: 3. Albrecht Von Graefe

Explanation: Father of Ophthalmology = Albrecht Von Graefe Von Graefe sign= lid lag sign in hyperthyroidism Pseudo Von Graefe sign= seen in abberant 3rd nerve regeneration